All of the following conditions may predispose to pulmonary embolism except:
1. Protein S deficiency
2. Malignancy
3. Obesity
4. Progesterone therapy

Correct answer: 4. Progesterone therapy

Explanation: Protein S (vitamin K-dependent physiological anticoagulant) acts as a Non-Enzymatic co-factor to activate protein C in the proteolytic degradation of Factor Va and factor Vllla. Decreased (antigen) levels/impaired function (activity) of protein S leads to decrease degradation of factor Va and factor Vllla and an increased propensity to venous thrombosis. Malignancy is a hyper-coagulable state and predisposes to pulmonary embolism. Obesity patients after surgery will be able to mobilize slower and therefore at risk for deep vein thrombosis. Estrogen leads to hyper-coagulable state and not progesterone.